The maximum dosage of local anesthetic agent like lidocaine must be reduced when used in combination with a CNS and/respiratory depressant because, it may result in:
1. Seizures
2. Coma
3. Death
4. All of the above

Correct answer: 4. All of the above